Dissociative anaesthesia is seen on administration of :
1. Ether
2. Halothane
3. Enflurane
4. Ketamine

Correct answer: 4. Ketamine